Millennium development goal targets to reduce MMR in 2015 by:-
1. 0.25
2. 0.75
3. 0.5
4. 1

Correct answer: 2. 0.75

Explanation: - Target 6 of Goal-5 of MDG aims to reduce Maternal Mortality ratio by 3/4th or 0.75. GOALS OF MDG: However, now 17 Sustainable Development Goals or SDGs have been introduced from 2016 - 2030.